All are true about Ebner glands, EXCEPT:
1. Is an exocrine gland
2. Situated on the dorsal surface of tongue
3. Secrete an acid labile lipase
4. Their secretion helps in digestion of fat

Correct answer: 3. Secrete an acid labile lipase

Explanation: Ebner's Gland or Von Ebner Glands are exocrine glands located on the dorsal surface of tongue and are responsible for the secretion of lingual lipase. Lingual lipase is a acid stable lipase. Lingual lipase uses a catalytic triad consisting of Aspaatic Acid, Histidine, and Serine, to initiate the hydrolysis of a triglyceride into a diacyglyceride and a free fatty acid. Ref:Ganong's Review of Medical Physiology, 22nd Edition, Page 473